Garre's osteomyelitis commonly involve -
1. Jaw
2. Femur
3. Ribs
4. Small bones of hand

Correct answer: 1. Jaw

Explanation: Sclerosing osteomyelitis of Garre typically develops in the jaw and is associated with an extensive new bone formation that obscures much of the underlying osseous structure.